All are true about cyclophosphamide except -
1. Causes immunosuppression
2. Causes local irritation
3. Well absorbed orally
4. Alkylating agent

Correct answer: 2. Causes local irritation

Explanation: Ans. is 'b' i.e., Causes local irritation o The drug is not a vesicant, and produces no local irritation. o Cyclophosphomide is an alkylating agent, absorbed well orally and is used as immunossuppressant in many refractory autoimmune diseases.